Not true about the anal canal is:
1. Completely lined by stratified squamous epithelium
2. Supplied by pudendal nerve
3. Drained by veins forming portosystemic anastomosis
4. Part below pectinate line is spupplied by inf. Rectal artery

Correct answer: 1. Completely lined by stratified squamous epithelium

Explanation: A. i.e. Completely lined by stratified squamous epithelium